Epidemiological marker of Hepatitis – B is
1. HBs Ag
2. Anti - HBs
3. Anti HBc
4. HBe Ag

Correct answer: 1. HBs Ag